All of the following diseases cause intraepidermal bullae except
1. Pemphigus
2. Herpes zoster
3. Miliaria rubra
4. Herpes gestationalis.

Correct answer: 4. Herpes gestationalis.